Which structure doesn't pass through foramen ovale?
1. Middle meningeal artery
2. Lesser petrosal nerve
3. Mandibular nerve
4. Accessory meningeal artery

Correct answer: 1. Middle meningeal artery

Explanation: Ans. is 'a' i.e., Middle meningeal artery * Middle meningeal artery passes through foramen spinosumSkull foraminaFORAMENSTRUCTURES PASSING THROUGH ITForamen ovaleMandibular nerveAccessory meningeal arteryLesser petrosal nerveEmissary vein(MALE)Foramen spinosumMiddle meningeal arteryEmissary veinNervus spinosus(MEN)Foramen lacerumMeningeal branch of ascending pharyngeal arteryGreater petrosal nerve unites with deep petrosal nerve to form the nerve of the pterygoid canalCarotid canalInternal carotid artery and the sympathetic plexus around itForamen rotundumMaxillary nervePterygoid canalVidian nerve (nerve of pterygoid canal)Vidian arteryStylomastoid foramenFacial nerveJugular foramenInternal jugular veinEmissary veinOccipital arteryInferior petrosal sinus9th, 10th, 11th nervesHypoglossal canal12th nerveMeningeal branch of ascending pharyngeal arteryGreater palatine foramenGreater palatine vesselsAnterior palatine nervesIncisive foramenGreater palatine vessels nasopalatine nervesLesser palatine foramenMiddle and posterior palatine nerves.Internal accoustic meatusFacial N.Auditory N.Nervus intermedius (wrisberg)Labyrynthine vessels